Why a hard surface is necessary for a die stone:
1. To prevent breakage of die.
2. To prevent water absorption.
3. To make surface abrasion resistant.
4. To easy removal of wax pattern.

Correct answer: 3. To make surface abrasion resistant.